Metronidazole is effective in all of the following conditions except :
1. Pseudomembranous colitis
2. Neurocysticercosis
3. Giardiasis
4. Amebic liver abscess

Correct answer: 2. Neurocysticercosis